Steroids cause
1. Increase TSH
2. Increased FSH
3. Prevent de-iodination
4. All of the above

Correct answer: 3. Prevent de-iodination

Explanation: Refer Katzung 11/e p 670 Glucocorticoids on long term use suppress the realese of ACTH, GH, TSH, LH These also inhibit the activity of 5-deiodinase and thus inhibit the peripheral conversion of T4 to T3. These also decrease thyroid binding globulin